Heera lals's 10 year old child presented in casualty with snake bite since six hours. On examination no systemic signs are found and lab investigations are normal except localized leg swelling <5 cm. Next step in management.
1. Incision and suction of local swelling
2. IV anti-snake serum
3. S/c anti snake serum at local swelling
4. Observe the patient for progression of symptoms wait for antivenom therapy

Correct answer: 4. Observe the patient for progression of symptoms wait for antivenom therapy

Explanation: Ans. (D). Observe the patient for progression of symptoms; wait for antivenom therapy(Ref: Review of Forensic Medicine and toxicology; Gautum Biswas; 2nd edition; Pg - 527)General management of snake bite:Psychiatric ReassurancePressure immobilizationTourniquet applicationAntisnake venomSupportive measuresASV Administration CriteriaASV should only be administered when there are definite signs of envenomation.In addition, Anti-Snake Venom carries risks of anaphylactic reactions and should not therefore be used unnecessarily.Polyvalent anti-snake venom is effective inCobraQKraitQRussel viperQSaw scaled viperQ